Oral evidence is more important than written testimony as:
1. Oral evidence cannot be cross-examined
2. Oral evidence can be cross-examined
3. Documentary evidence requires no proof
4. None

Correct answer: 2. Oral evidence can be cross-examined

Explanation: Oral evidence is more superior to documentary evidence, as the witness can be cross examined. Doctor's report is accepted only when he comes and deposes oral evidence in the court ( S. 45 IEA). Exceptions to oral evidence: Dying declaration. Expert opinion given in a book or treatise. Evidence of doctor recorded in a lower Court. Evidence by witness in a previous judicial proceedings. Reports of chemical examiner, explosives expert, fingerprint expert, serologist etc. Public records like death, birth certificate. Hospital records